Which of the following statement regarding Rheumatoid arthritis is false?
1. It is symmetrical involving small and large joints
2. Pulmonary nodules are present
3. Juxta articular osteoporosis may be present
4. None of the above

Correct answer: 4. None of the above

Explanation: Rheumatoid arthritis is a chronic systemic inflammatory disease, with symmetric involvement of small and large joints. Joint stiffness lasting for more than 30minutes is the prominent symptom. Characteristic Xray findings include juxta articular osteoporosis, joint erosions and joint space narrowing. Rheumatoid factor and antibodies to citrullinated peptides are seen in 70 - 80% cases. Reference: Harrison's Principles of Internal Medicine 18e chapter 321.